Which is the first organ to be affected in left ventricular failure?
1. Lungs
2. Liver
3. Kidney
4. Brain

Correct answer: 1. Lungs

Explanation: Ans. (a) LungsRef: Robbin's pathology 9th ed. /529-30* In left ventricular failure, the pooling of blood in lungs will result and will lead to development of pulmonary edema which causes hypoxia and findings of dysnea, orthopnea, pink frothy sputum and death. Hence lungs are immediately affected following LVF.* Subsequently due to low BP the kidneys shall be affected and in severe LVF brain perfusion shall also be affected.